Investigation to diagnose stage-I carcinoma breast –
1. B/L mammogram
2. X–ray chest
3. Bone scan
4. Liver scan

Correct answer: 1. B/L mammogram